Management of febrile neutropenic patients on anti-cancer therapy include all except:
1. Colony stimulating factors
2. Transfusion of granulocytes
3. Antibiotic Prophylaxis
4. Repeated hand washing

Correct answer: 2. Transfusion of granulocytes

Explanation: Transfusion of granulocytes in febrile neutropenic patients has no role because Exceedingly short half-life Mechanical fragility Pulmonary compromise with leukostasis after their use Instead, colony-stimulating factors (CSFs) are used to augment bone marrow production of PMNs . ref - pubmed.com